Holstein Lewis sign is related which nerve ?
1. Median
2. Radial
3. Ulnar
4. Axillary

Correct answer: 2. Radial

Explanation: Ans. is 'b' i.e., Radial Complications of humerus shaft fracture Nerve injury : - Radial nerve is the most commonly injured nerve in fracture shaft humerus. It is particularly common in oblique fractures at the junction of middle and distal third of the bone (Holstein- Lewis sign). Vascular injury : - Brachial artery damage. Delayed union or non-union : - Delayed union or non-union may occur, especially in transverse fracture of the midshaft. The cause of non-union is distraction at fracture site due to gravity and weight of plaster. Joint stiffness : - Shoulder & elbow stiffness.